All are risk factors for Carcinoma breast except
1. Nulliparity
2. Obesity
3. Early menopause
4. Lack of breast feeding

Correct answer: 3. Early menopause

Explanation: Risk Factors That Cannot be ModifiedIncreasing ageFemale sexMenstrual factorsEarly age at menarche (onset of menses before age 12 yr)Older age at menopause (onset beyond age 55 yr)NulliparityFamily history of breast cancerGenetic predisposition (BRCA1 and BRCA2 mutation carriers)Personal history of breast cancerRace, ethnicity (white women have increased risk compared with women of other races)History of radiation exposureRisk Factors That Can Be ModifiedReproductive factorsAge at first live birth (full-term pregnancy after age 30 yr)ParityLack of breastfeedingObesityAlcohol consumptionTobacco smokingUse of hormone replacement therapyDecreased physical activityShift work (night shifts)Histologic Risk FactorsProliferative breast diseaseAtypical ductal hyperplasiaAtypical lobular hyperplasiaLobular carcinoma in situRef: Sabiston 20e, page: 831